The parasympathetic secretomotor fibres to parotid traverse through the following, except
1. Otic ganglion
2. Tympanic plexus
3. Greater petrosal nerve
4. Aurico temporal nerve

Correct answer: 3. Greater petrosal nerve

Explanation: Parasympathetic nerves are secretomotor. They reach the gland through the auriculotemporal nerve. The preganglionic fibres begin in the inferior salivatory nucleus; pass through the glossopharyngeal nerve, its tympanic branch, the tympanic plexus and the lesser petrosal nerve; and relay in the otic ganglion. The postganglionic fibres pass through the auriculotemporal nerve and reach the gland. Ref: BD Chaurasia's HUMAN ANATOMY, Volume 3, 4th edition.